Investigation of choice for advanced renal tuberculosis is?
1. CT
2. IVP
3. USG
4. MRI

Correct answer: 1. CT

Explanation: CT REF: Grainger 4th edition p. 1547/1490 See APPENDIX-63 for list of "Investigations of choice" Early renal TB-IVP is most sensitive imaging modality Advanced renal TB - CT > IVP > USG ( order of sensitivity)